A female patient with clinical symptoms of systemic sclerosis present with shortness of breath and B/L basal rales, her CXR showed reticular opacities in B/L basal fields. What is the Next Best Step?
1. Do CECT
2. Do HRCT
3. Do Pulmonary Function Test
4. 2D echocardiography

Correct answer: 2. Do HRCT

Explanation: H/O systemic sclerosis with shortness of breath and CXR findings are suggestive ofInterstitial lung disease(ILD). Investigation Of Choice for ILD is HRCT ILD is the most common pulmonary manifestatation of systemic sclerosis It occurs in about half of patients with diffuse disease and in about 1/3rd cases with limited disease.